Uterine artery embolization can be employed in?
1. Large fibroids
2. Uterine AVM
3. Intractable bleeding
4. All of the above

Correct answer: 4. All of the above

Explanation: Ans DIndications for UAE are:* Intramural fibroids less than 7 centimeters in size, especially in women who want to avoid surgery or are not fit for surgery due to extreme obesity.* Excessive bleeding during periods* Pain and pressure-related symptoms in the lower abdomen and pelvis, such as a feeling of bloatness, increased frequency of urination, constipation and having to wake up at night to pass urine* Dysmenorrhea.* Abnormal uterine bleeding* Pseudoaneurysms of the uterine artery* Adenomyosis.* Uterine arteriovenous malformations (AVMs)* Infertility with fibroids and no other obvious cause, or contraindications to other modes of treatment* Ectopic pregnancies :tubal and ovarian pregnancies are treated by surgical removal, UAE is used to treat interstitial, cervical, abdominal and scar ectopic pregnancies